All are risk factors for cholangiocarcinoma Except
1. Primary sclerosing cholangitis.
2. Hepatolithiasis
3. Liver flukes
4. Primary biliary cirrhosis

Correct answer: 4. Primary biliary cirrhosis

Explanation: Primary biliary cirrhosis has increased the risk of hepatocellular carcinoma.Primary sclerosing cholangitis, Hepatolithiasis, Liver flukes have increased the risk of cholangiocarcinoma.Ref: Robbins Pathology; 9th edition; Page no: 871